The difference between primary and secondary healing is
1. More granulation tissue and fibrosis is seen in secondary healing
2. Scar is more cosmetic in secondary healing
3. Secondary healing occurs faster
4. Surgical wound heal commonly by secondary healing

Correct answer: 1. More granulation tissue and fibrosis is seen in secondary healing

Explanation: In secondary healing :

More granulation tissue and fibrosis occurs.
Scar is loss cosmetic.
Secondary healing occurs slower.
Surgical wounds are clean cut, hence they heal by secondary healing.